Bishop scoring is based on all except :
1. Dilatation of cervix
2. Effacement of cervix
3. Uterine contraction
4. Station of head

Correct answer: 3. Uterine contraction

Explanation: Uterine contraction